All of the following are side effects of Quinine except:
1. QT prolongation
2. Tinnitus
3. Teratogenicity
4. Hypoglycemia

Correct answer: 3. Teratogenicity

Explanation: Quinine blocks K+ channels and can lead to QT prolongation.
It can also increase Insulin secretion and causes hypoglycemia.
It is a Cinchona compound that can lead to tinnitus and vertigo.
It is not teratogenic and hence can be used in pregnancy.